Lipid with highest mobility is
1. HDL
2. LDL
3. VLDL
4. Chylomicrons

Correct answer: 1. HDL

Explanation: Classification Based on Electrophoretic Mobility (Frederickson and colleagues, 1967): The most widely used and simplest classification for lipoproteins is based on the separation of major four classes by electrophoresis. The most frequently employed electrophoretic media are "paper" and 'agarose'. Plasma lipoproteins separated by this technique are classified in relation to the comparable migration of serum proteins.On electrophoresis, the different fractions according to mobility appear at:The origin is chylomicrons,Migrating into b-globulin region is called b-lipoproteins (LDL)Migrating into Pre-b-globulin region, called as pre-b-lipoproteins (VLDL)Migrating to "a1-globulin region called a-lipoproteins (HDL)Ref: Textbook of Medical Biochemistry 8th Edition Dr (Brig) MN Chatterjea, Rana Shinde, page no; 444, 445